All of the following drugs are used in management of ALL Except:
1. Methotrexate
2. All - trans retinoic acid
3. Prednisolone
4. L-Asparginase

Correct answer: 2. All - trans retinoic acid

Explanation: Answer is B (All - trans-retinoic acid) All - trans- retinoic acid is used in the treatment of M3 subset (Acute Promyelocytic leukemia) of Acute Myeloid Leukemia (AML) and not in ALL